A patient comes in dental office for routine dental check up. His upper central incisor which is root canal treated 6 months ago, shows a Periapical radiolucency, but the patient has no previous radiographs of the lesion. Treatment at this time:
1. No treatment, observe
2. Redo the RCT
3. Make a Post and Core
4. Do apicoectomy

Correct answer: 1. No treatment, observe